Trotter's triad is seen in
1. Nasopharyngeal carcinoma
2. Maxillary sinusitis
3. Maxillary carcinoma
4. Angiofibroma

Correct answer: 1. Nasopharyngeal carcinoma

Explanation: Nasopharyngeal cancer can cause conductive deafness (eustachian tube blockage), ipsilateral temporoparietal neuralgia (involvement of CN V) and palatal paralysis (CN X)-- collectively called Trotter's triad. (Ref: Diseases of Ear, Nose and Throat, PL Dhingra, 7th edition, page 285)